24-year-old AIDS patient develops chronic abdominal pain, low grade fever, diarrhoea, malabsorption. Oocysts demonstrated in stool. Likely cause of his diarrhoea is:
1. E. histolytica
2. G. lamblia
3. Microsporidia
4. Isospora belli

Correct answer: 4. Isospora belli

Explanation: Ans is 'd' i.e., Isospora belli(Ref: Harrison, 18th/e, p. 1731, 1732; 17th/e, p. 1313)* Cryptosporidia, microsporidia and Isospora belli are the most common opportunistic protozoa that infect the GI tract and cause diarrhea in HIV-infected patients.HIV Infected Patient|||Cryptosporidia (6-8 micron)Microsporidia (8-10 micron)Isospora belli (23-36 micron)* Acid fast oocyst in stool* Presence of organism in stool*Acid fast oocyst in stool * No oocyst